Morphologic features of celiac disease include all, except
1. Increase in intra-epithelial lymphocytes
2. Increase crypt: villous ratio
3. Distended macrophages with PAS positive granules in lamina propria
4. Elongated, hyperplastic and tortuous crypts

Correct answer: 3. Distended macrophages with PAS positive granules in lamina propria

Explanation: Celiac Disease is an Morphology The classic histomorphology of celiac disease is near total loss of small intestinal villi. Additionally, the intestinal Crypts of Lieberkuhn appear elongated and likely in a compensatory attempt to replace continually destroyed intestinal villi. Celiac Disease is also characterized by inflammation with increased numbers of intraepithelial lymphocytes in the small intestine epithelium as well as lymphocytes and cells within the small intestine lamina propria. Notably, these pathological changes are most visible in the duodenum and attenuate along the length of the small intestine as gluten becomes digested and destroyed. The most characteristic histological finding is a return to normal histology after removal of gluten from the diet